Amphotercin B causes deficiency of
1. Sodium
2. Calcium
3. Potassium
4. Chloride

Correct answer: 3. Potassium

Explanation: Refer Katzung 11/e p 838 Renal tubular acidosis and renal wasting of K+ and Mg2+ also may be seen during and for several weeks after therapy. Supplemental K+ is required in one-third on patients with prolonged therapy